False regarding erythema infantosum is -
1. Caused by HHV 6
2. Marked erythema of the cheeks or slapped cheek apperance often with relative circum-oral pallor
3. Infection during pregnancy can result in hydrops fetalis due to fetal anemia
4. Arthritis is a complication

Correct answer: 1. Caused by HHV 6

Explanation: Parvovirus B19 infection usually present as respiratory infection with an erythematous maculopapular rash and arthralgia.In its full blown form that is erytha infectiosum it starts with prominent erythema of cheeks spreading to the limbs and trunk followed by lymohadenopathy and arthralgia. REF:ANANTHANARAYAN AND PANIKER'S TEXTBOOK OF MICROBIOLOGY 9TH EDITION PAGE NO:554